Length of male urethra is
1. 10 cm
2. 15 cm
3. 20 cm
4. 30 cm

Correct answer: 3. 20 cm

Explanation: Length of male urethra is 20 cm long and female urethra is 4 cm long. Male urethra contains 3 parts- Prostatic urethra- 4 cm Membranous urethra-0.5-0.6 cm Spongy urethra -15 to 20 cm